All are features of congenital megacolon except -
1. Large bulky stools
2. Tight anal ring
3. Pseudodiarrhoea
4. Failure to thrive

Correct answer: 1. Large bulky stools